All are congential myopathies exceptaEUR'
1. Central Core myopathy
2. Centronuclearmyopathy
3. Z band myopathy
4. Nemalin myopathy

Correct answer: 3. Z band myopathy

Explanation: Z band Myopathes Congenital Myopathies are characterized by Onset at birth or in early infancy with muscle Weakness and decreased muscle tone Very slowly progressive or non progressive course & long survival Specific histologic changes on muscle biopsy Congenital Myopathies Disease . Central core disease . Nemaline Myopathy . Centro Nuclear Myopathy Histological Characteristics Amorphous central core in myofibrils with absence of oxidative enzymes Elongated crystalline rods composed of Tropomyosin present beneath sarcolemma : shows periodicity on electron microscopy. Nuclei occupy the central part of the myofibril. P Secondary Congenital Myopathy associated with Glycogen storage disease Glycolytic enzyme Deficiency Certain disorders of lipid Metabolism e.g. Carnitine Deficiency Acquired Myopathy Endocrine - Thyrotoxicosis - Cushing disease - Acromegaly Familial periodic paralysis - Potassium deficiency or excess Malignant neoplasm - Paraneoplastic syndromes